Augmented retraction ring in labour is known as
1. Shroder's ring
2. Bandl's ring
3. Hour glass uterus
4. Normal ring

Correct answer: 2. Bandl's ring

Explanation: Ans. b (Bandl's ring). (Ref. Williams, Obstetris 21st/pg.836, Dutta, Obstetrics 4th/pg.367)BANDL'S (PATHOLOGICAL RETRACTION) RING# A circular groove encircling the uterus, formed between active upper segment and distended lower segment.SCHROEDER'S (CONSTRICTION) RING# Situated at the junction of upper and lower segment.# Usually reversible and complete.# May appear in all stages of labour.# Ring is not felt per abdomen, round ligament also not felt.